Which of the following is not true regarding tetracycline -
1. It is not teratogenic
2. It can cause tooth discoloration
3. It can result in superinfection
4. It can lead to pseudomembranous colitis.

Correct answer: 1. It is not teratogenic

Explanation: Ans. is 'a' i.e., It is not teratogenic o Tetracycline is teratogenic - causes discoloration and defects of teeth and altered bone growth of the fetus. o Tetracycline can cause superinfection (including pseudomembranous colitis).